Lymphatics of suprarenal gland drain into lymph nodes -
1. Internal iliac
2. Para-aortic
3. Superficial inguinal
4. Coeliac

Correct answer: 2. Para-aortic

Explanation: Suprarenal glands drain into para-aortic nodes.